Fenoldopam drug used in ?
1. Hypertensive emergencies
2. Orthostatic hypotension
3. CHF
4. Angina

Correct answer: 1. Hypertensive emergencies

Explanation: Ans. is 'a' i.e., Hypertensive emergencies Fenoldopam It is a peripheral arteriolar dilator and is used in hypertensive emergencies and in post - operative hypertension. It acts as aagonist at the D1 receptors, resulting in dilatation of peripheral arteries and natriuresis. It increases intraocular pressure and should be avoided in patients with glaucoma.